Which of the following is not true regarding the histopathology of psoriasis?
1. Epidermal thickening
2. Supra papillary thinning
3. Kogoj's spongiform pustules
4. Pautrier's Microabscess

Correct answer: 4. Pautrier's Microabscess

Explanation: Ans. D. Pautrier's MicroabscessPautrier's Microabscess is seen in Mycosis fungoides, but not psoriasis.Histopathological Features of Psoriasis* Irregular epidermal thickening (Acanthosis)* Hyperkeratosis and Parakeratosis* Supra papillary thinning* Clubbing of rete ridges at the base* Kogoj's spongiform pustules (collection of neutrophils in Malpighian layer)* Munro microabscesses (collection of neutrophils in Stratum corneum)* Absence of stratum granulosum* Dilated, tortuous blood vessels in Dermis* Supra papillary mononuclear leukocytic infiltratesM (Munro microabscess) is seen in P (Psoriasis) and P (Pautrier's microabscess) is seen in M (mycosis fungoides).Image: Psoriasis - Epidermis shows psoriasiform hyperplasia with markedly elongated rete ridges, with bulbous thickening and fusion of their lower portions with thin supra papillary epidermal plates, edema and dilated vessels in the dermal papillae.